Heberden node denotes involvement of ?
1. Distal inetrphalangeal joint
2. Proximal interphalangel joint
3. Metacarpophalangeal joint
4. Metatarsophalangeal joint

Correct answer: 1. Distal inetrphalangeal joint

Explanation: Ans. is 'a' i.e., Distal inetrphalangeal joint In osteoarthritis of hand : i) Distal interphalangeal joint :- Heberden's node ii) Proximal interphalangeal joint :- Bouchard's node